Broca's aphasia is -
1. Fluent aphasia
2. Non fluent aphasia
3. Sensory aphasia
4. Conduction aphasia

Correct answer: 2. Non fluent aphasia

Explanation: Ans. is 'b' i.e., Non fluent aphasia